Most common site of injury to aorta in patients who manage to reach the hospital for medical care is
1. Ascending aorta
2. Aortic isthmus
3. Descending thoracic aorta
4. Abdominal aorta

Correct answer: 2. Aortic isthmus

Explanation: Answer- B. Aortic isthmusTrauma can result in aortic transaction or disruption.Traumatc injuries to the aorta are rapidly fatal ith most victims dying at the scene of injury.Post traumatic aneurysms to the aorta are distinctive by their location.The two most common sites are proximal ascending aorta and aortic isthmus, the site of insertion of ligamentum arteriosum.Among patients who survive traumatic aortic injury and reach medical care, about 95% have injury to aortic isthmus.